The superelastic property of the NiTi wire is due to
1. Stress induced phase transition from the austenitic to the martensitic phase
2. Temperature induced phase transition from the martensitic to the austenitic phase
3. Stress induced phase transition from the martensitic to the austenitic phase
4. Temperature induced phase transition from the austenitic to the martensitic phase

Correct answer: 1. Stress induced phase transition from the austenitic to the martensitic phase